CAMP acts through:
1. Activation of protein kinase
2. Activation of adenylate cyclase
3. Ca2+ release.
4. All

Correct answer: 1. Activation of protein kinase

Explanation: A i.e., Activation of protein kinase